The Most important diagnostic investigation in renal cell carcinoma is:
1. CT scan of abdomen and pelvis
2. MRI
3. USG
4. PET CT

Correct answer: 1. CT scan of abdomen and pelvis

Explanation: Ans. (a) CT scan of abdomen and pelvisRef: Bailey 26thEdition, Page 1306; Campbell Urology 11th Edition, Page 1338* Most important investigation in RCC is CT scan of abdomen. Staging of RCC can be accomplished in most cases with a high quality abdominal CT scan.